Risk factor of CA cervix ?
1. Smoking
2. Sex at 25 yrs
3. Decreased parity
4. Single sexual partner

Correct answer: 1. Smoking

Explanation: Ans. is 'a' i.e., SmokingRisk Factors associated with carcinoma cervix are as follows :?HPV infection - HPV 16: Squamous cell carcinoma, HPV 18: Adenocarcinoma o Early coitarcheIncreased parityMultiple sexual partnersSmokersLack of regular PAP smear screeningLong term use of combined oral contraceptive pills